Gemcitabine is used mainly in which cancer -
1. Colorectal
2. Breast
3. Pancreatic
4. Cranipharyngioma

Correct answer: 3. Pancreatic

Explanation: Ans. is 'c' i.e., Pancreatic o Drug of choice for brain tumorso Drug of choice for pancreatic Ca.o Drug of choice for choriocarcinomao Drug of choice for multiple myeloma- Nitrosoureas- Gemcitabine- Methotrexate- Melphalan